Unicinate fits are seen in tumours of the-
1. Frontal lobe
2. Parietal lobe
3. Temporal lobe
4. Occipital lobe

Correct answer: 3. Temporal lobe